Charcot leyden crystals in stool are seen in -
1. Bacillary dysentery
2. Amoebic dysentery
3. Giardiasis
4. Cholera

Correct answer: 2. Amoebic dysentery